The following is an example of a primarily inhibitors amino acid
1. Glutamate
2. Aspartate
3. Glycine
4. Somatostatin

Correct answer: 3. Glycine

Explanation: Glycine is the major inhibitory neurotransmitter in the brainstem and spinal cord, where it participates in a variety of motor and sensory functions. Glycine is also present in the forebrain, where it has recently been shown to function as a coagonist at the N-methyl-D-aspartate (NMDA) subtype of glutamate receptor. Ref: guyton and hall textbook of medical physiology 12 edition page number:64,65,66